Tributaries of left renal vein are all EXCEPT
1. Left-adrenal vein
2. Left-testicular vein
3. Diaphragmatic vein
4. Left-lumbar vein

Correct answer: 4. Left-lumbar vein

Explanation: D. i.e. Left lumber vein